Tissue weighing factor for gonads is
1. 0.12
2. 0.08
3. 0.04
4. 0.01

Correct answer: 2. 0.08